Syneresis is associated with
1. Hydrocolloids
2. Elastomers
3. Zinc oxide eugenol
4. Plaster of paris

Correct answer: 1. Hydrocolloids